The components of Innate immunity that are active against viral cells include
1. NK cells
2. Memory T cells
3. Cytotoxic cells
4. B cells

Correct answer: 1. NK cells

Explanation: Natural killer (NK) cells are large, granular lymphocytes morphologically related to T cells, which make up 10-15% of blood leukocytes. NK cells contribute to innate immunity by providing protection against viruses and other intracellular pathogens. NK cells have the ability to recognize andkill virus-infected cells and tumour cells. Cytotoxic T cells - Phagocytosis. B cells - Antibody production. Memory T cells - Cell-mediated immunity. Ref : Ananthanarayana textbook of Microbiology 9th edition Pgno: 137